Which of the following is an  adhesive perforation repair material:
1. Calcium sulphate.
2. Amalgam.
3. ZOE.
4. Geristone.

Correct answer: 4. Geristone.

Explanation: Geristore (Rapid setting resin-glass ionomer hybrids)-

Has good capacity of bonding with the tooth structure

Recommended for:-

Root-end filling material
Restoring subgingival surface defects
Root surface caries
External root resorption lesions
Iatrogenic root perforations
Subgingival oblique fractured roots